When preparing a 3/4th crown on maxillary incisor tooth, the proximal grooves should generally be parallel to the
1. Long axis of the tooth
2. Gingival 2/3rd of the labial surface
3. Incisal 2/3rd of the labial surface
4. Short axis of the tooth

Correct answer: 3. Incisal 2/3rd of the labial surface